All of the following may be associated with night-blindness except:
1. Pathological myopia
2. Retinitis pigmentosa
3. Retinitis punctata albescens
4. Retinitis proliferans

Correct answer: 4. Retinitis proliferans

Explanation: Ans. Retinitis proliferans